A 60-year old female presented with decreased movements for the last 2 years with rigidity and vertical large square wave jerks. The most likely diagnosis is -
1. Parkinson's disease
2. Lewy body dementia
3. Multisystem atrophy
4. Progressive supranuclear palsy

Correct answer: 4. Progressive supranuclear palsy